Which of the following drugs are used in the management of acute severe asthma?
1. Epinephrine
2. Ipratropium
3. Terbutaline
4. All of the above

Correct answer: 4. All of the above

Explanation: Ans. D. All of the aboveAcute exacerbations of asthma are acute episodes of progressively worsening shortness of breath, cough, wheezing, chest tightness or a combination of these symptoms. Management of these children require Oxygen, nebulization with beta 2- agonists. Patients may also require Epinephrine, Terbutaline, Ipratropium, Hydrocortisone, Prednisolone, Aminophylline and Magnesium sulphate.